Microcytic hypochromic anemia found in infestation of-a) Ankylostomab) Ascarisc) Necatord) Diphyllobothrium
1. a
2. ac
3. ad
4. b

Correct answer: 2. ac